Most common site of Morgagni Hernia is
1. Left Anterior
2. Right posterior
3. Right Anterior
4. Left posterior

Correct answer: 3. Right Anterior

Explanation: More common in right side and lies between the pericardium and right pleura. B D CHAURASIA'S HUMAN ANATOMY LOWER LIMB ABDOMEN AND PELVIS VOLUME-2,SIXTH EDITION Page no-334